Most common tumor of spine is:
1. Secondaries
2. Ewings sarcoma
3. Oteosarcoma
4. Multiple myeloma

Correct answer: 1. Secondaries

Explanation: Ans. A: Secondaries Metastatic tumors in the bone are the commoner than primary bone tumors. Imaging for spinal tumors Plain films-80% are abnormal. Some findings are the "winking owl's eye" due to pedicle involvement, pathological compression fracture, vertebral body scalloping, osteoblastic changes (prostate cancer, multiple myeloma, Hodgkins, occasionally breast cancer). Bone scan-Most metastatic lesions of the spine are osteolytic, and appear as collapsed vertebrae, absent pedicles, ghost vertebrae, or localized lytic lesions of various parts of the vertebra. Myelogram-Hour glass deformity if incomplete block and paint brush appearance if complete block. In a complete block 14% of patients deteriorate after the procedure (especially if CSF removed), therefore imaging of choice is MRI scan. MRI scan-Metastatic lesions are hypointense on T1WI and hyperintense on T2WI. Advantages of MRI Non-invasive. No risk of neurological deterioration. Demonstrates paraspinal lesions. Can image area between 2 blocks.